All are true about Ramsay hunt syndrome except?
1. Facial palsy
2. Vesicles in meatus
3. Vertigo
4. Palatal myoclonus

Correct answer: 4. Palatal myoclonus

Explanation: Ans. is 'd' i.e., Palatal myoclonus o The symptoms and sings of Ramsay Hunt syndrome include acute facial nerve paralysis, pain in the ear, taste loss in the front two-thirds of the tongue, dry mouth and eyes, and eruption of an erythematous vesicular rask in the ear canal, the tongue, and/or hard palate.o Since the vestibulocochlear nerve is in proximity to the geniculate ganglion, it may also be affected , and patients may also suffer from tinnitus, hearing loss, and vertigo.o Patients lose their sense of taste in the anterior two-thirds of the thogue while developing ipsilateral facial palsy. The geniculate ganglion of the sensory branch of the facial nerve in involved.o Possible involvement of the trigeminal nerve can cause anesthesia of the face.o Palatal myoclonus is a rapid spasm of the palatal muscles, which results in clicking or popping in the ear. It is often due to lesions of the central tegmental tract (which connects the red nucleus to the ipsilateral inferior olivary nucleus) and the clickinh noise does not subside when the patient sleeps.Ramsay Hunt Syndromeo Ear pain radiating to tonsillar region.o Vesicles in external auditory canal, pinna and anterior pillar of fauces.o Facial paralysisAlso seen# Loss of taste sensation on anterior 2/3rd of tongue.# Occasionally hearing loss and vertigo.Causeo Reactivation of HZV in geniculate ganglion.